The position of hand during application of POP cast for fracture scaphoid has been clasically described as
1. Boat shaped position
2. Clenched fist position
3. Tumbler holding position
4. Boxing position

Correct answer: 3. Tumbler holding position

Explanation: In Scaphoid fracture, the cast is applied to maintain dorsi-flexion of the wrist area. This is called the Glass holding position/Tumbler holding position. In Colle's fracture, POP is applied to keep it in palmar flexion and ulnar deviation. This is called Shake hand position. ref : maheswari 9th ed